Apart from dengue hemorrhagic fever Aedes a egypti is vector of transmission for?
1. Filaria
2. Japanese encephalitis -
3. Kyasanur forest disease
4. Yellow fever

Correct answer: 4. Yellow fever

Explanation: Ans. d (Yellow fever). (Ref. Park PSM 22nd/pg. 257, 713, 717) TYPES OF MOSQUITODISEASES1.AnophelesMalaria, filariasis (not in India).2.CulexBancroftian filariasisJapanese encephalitisWest Nile feverViral arthritis (epidemic polyarthritis).3.AedesYellow fever (not in India)Dengue, Dengue hemorrhagic feverChikungunya fever, Chikungunya, hemorrhagic feverRift valley fever.4.MansonoidesMalayan (Brugia) filariasis,Chikungunya fever.